Strongest bond out of the following is -
1. Electrostatic
2. Hydrogen
3. Hydrophobic
4. Vanderwall's

Correct answer: 1. Electrostatic

Explanation: Amongst the given options, electrostatic bonds are strongest. Strength of various interactions (in decreasing order)

Covalent (strongest) Electrostatic  (ionic or salt linkage) > hydrogen> hydrophobic > Van der waal's (weakest)